Flapping tremors occurs in all EXCEPT:
1. Uremic encephalopathy
2. Parkinsonism
3. Hepatic encephalopathy
4. CO 2 poisoning

Correct answer: 2. Parkinsonism

Explanation: ANSWER: (B) ParkinsonismREF: Harrison's 18th ed various chaptersAsterixis (also called the flapping tremor, or liver flap) or wing beating tremorTremor is of 2-3 second cycleSeen in uremic, hepatic, metabolic encephalopathyC02 retentionAlcohol intoxicationSome Important tremors:Intention tremor: cerebellar dysfunctionResting tremor or pin rolling tremor: parkinsonismEssential tremor (sometimes called benign essential tremor) is the most common type of tremorOrthostatic tremor is characterized by fast {>12 Hz) rhythmic muscle contractions that occur in the legs and trunk immediately after standing seen along with essential tremorPhysiologic tremor occurs in every normal individual and has no clinical significance. It is rarely visible and may be heightened by strong emotion (such as anxiety or fear), physical exhaustion, hypoglycemia, hyperthyroidism, heavy metal poisoning, stimulants, alcohol withdrawal or fever.